In intra-operative radiotherapy which of the following therapeutic mode is commonly employed?
1. Electron
2. Photon
3. X-ray
4. Gamma rays

Correct answer: 1. Electron

Explanation: Ans. A. Electron.Intraoperative radiotherapy using electron beam has the potential to deliver higher doses of radiations to the tumor (pancreatic carcinoma mainly, carcinoma stomach, rectal cancers, head and neck cancers, retroperitoneal sarcomas and some genitourinary and gynecological cancers) while sparing neighboring tissues but does not give better results than external beam treatment and hence can be used as boost followed by photon beam therapy.